Meralgia paresthetica is due to entrapment of which nerve
1. Medial cutaneous nerve of arm
2. Lateral cutaneous nerve of thigh
3. Ilioinguinal nerve
4. Tibial nerve

Correct answer: 2. Lateral cutaneous nerve of thigh

Explanation: Meralgia paresthetica: is numbness or pain in the outer thigh The lateral femoral cutaneous nerve most often becomes injured by entrapment or compression where it passes between the ilium and the inguinal ligament near the attachment at the anterior superior iliac spine {Reference: BDC 6E pg no. 177}